G-6-PD deficiency causes -
1. Leukemia
2. Hemolytic anemia
3. Hemophilia
4. None

Correct answer: 2. Hemolytic anemia

Explanation: Ans. is 'b' i.e., Hemolytic anemia o The enzyme glucose-6-phosphate dehydrogenase (G6PDQ) may be deficient in some persons,o It is the most common enzyme deficiency seen in clinical practiceQ. The defect is transmitted as x-linkedrecessive trait.o This defect results in impairment of HMP shunt with reduced generation of NADPHQ.o Thus, glutathione can not be reduced as it requires NADPH.o This, in turn, results in red cell hemolysis (hemolytic anemia) in response to oxidative stress.